Earlier manifestation of Rickets is-
1. Craniotabes
2. Rachitic rosary
3. Harrison groove
4. Pigeon chest

Correct answer: 1. Craniotabes

Explanation: Ans. is `a' i.e., CraniotabesCraniotobes is the earliest manifestation of Rickets.